Incubation period of which disease is less than 7 days?
1. Cholera
2. Measles
3. Leishmaniasis
4. Mumps

Correct answer: 1. Cholera

Explanation: ANSWER: (A) CholeraREF: Park 20th ed 132-150, CDC website, WHO websiteSee APPENDIX-77 below for "INFECTIOUS DISEASES" APPENDIX- 77INFECTIOUS DISEASESREF: Park 20th ed 132-150, CDC website, WHO websiteDiseaseIncubation periodAgentRespiratory infections Small poxAverage: 12-14 days,Range: 7-17 daysVariola virusChickenpox14-16 days, Range: 7-21 daysVaricella zoster virusMeasles10 days average 7 daysMeasles virus (RNA paramyxovirus)Rubella2-3 weeks, average IS daysRNA virus of Togavirus familyMumps2-3 weeks, usually 18 daysMyxovirus parotiditis (RNA virus)Influenza18-72 hoursInfluenza virus 3 types A,BStCDiphtheria2-6 daysCorynebacterium DiphtheriaeWhooping cough7-14 daysB. pertussisMeningococcal meningitis3-4 daysN. meningitisSARS2-7 days (commonly 3-5 days)New strain of corona virusTuberculosis3-6 weeksM. TuberculosisIntestinal infectionsPoliomyelitis7-14 daysPolio virus 3 serotypes 1,2 and 3Viral hepatitis A15-45 days usually 25-30hepatitis A virusViral hepatitis B45-180 days average 100hepatitis B virusViral hepatitis E2 to 9 weekshepatitis E virusCholeraA few hours up to 5 days commonly 1-2 daysV. CholeraeAcute diarrhoeal diseasesTyphoid fever10-14 days short as 3 days long as 3 weeksS. typhiFood poisoning Staphylococcal Botulism CL perfringens B. cereus1-6 hours 12-36 hours 6-24 hours1-6 hours (Emetic form)12-24 Hours (Diarrhoeal form)Staphylococcus aureus Clostridium botulinumBacillus cereusAmoebiasis2-4 weeks or longerE. histolyticaAscariasis2 monthsAscaris lumbricoidesHookworm infections Nectar americanus Ancylostoma duodenale7 weeks5 to 7 weeksNectar americanusAncylostoma duodenale Arthropod borne infectionsDengue syndrome Classical Dengue fever Dengue haemorrhagic fever (DHF)5-6 days 4 to 6 daysDengue VirusMalaria PlasmodiumFalciparumVivaxQuartanOvale12 (9-14) days14 (8-17) days28 (18-40) days17 (16-18) days Lymphatic filariasis8-16 monthsWuchereria bancroftiZoonosesViral Rabies3-8 weeksLyssa virus type 1Yellow fever3-6 daysFlavivirusJapanese encephalitis5 to 15 daysF la vi virusKFD3 to 8 weeksFlavivirusBacterial Brucellosis1-3 weeks to as long as 6 monthsB. melitensis, B. abortus , B. suis,B. canisLeptospirosis10 days range of 4-20L. interrogansPlague BubonicSepticemicPneumonic2-7 days2-7 days1-3 daysY. pestisHuman salmonellosis6-72 hours Scrub typhus10-12 daysVaries 6-21 daysRickettsia tsutsugamushiMurine typhus1-2 weeks com 12 daysRickettsia typhiTick typhus3-7 daysRickettsia conoriiQ fever2-3 weeksCordelia burnetiiTaeniasis8-14 weeksT. saginata, T. soliumHydatid diseaseMonths to yearsE. granulosusLeishmaniasis1-4 monthsRange 10 days-2yearsLeishmania donovaniSurface infectionsTrachoma5-12 daysC. trachomatisTetanus6-10 daysClostridium tetaniLeprosy3-5 years or moreM. lepraYaws3-5 weeksT. pertenueAIDSUncertainHuman immunodeficiency virus SmallpoxChickenpoxMeaslesRubellaMumpsAgentVariola virusVaricella zoster virusRubeola virusRubella virusMyxovirusparotiditisIncubationperiod12-14 days (range 7-17)14-16 days Range: 10-21 days10 days for prodrome, 14 days for rash2-3 weeks average 18 days2-3 weeks average 18 daysNon human ReservoirNilNilNilNilNilSourceCasesCaseCaseClinical/sub clinical casesClinical/sub clinical casesPeriod of InfectivityNon infectious till asymptomatic, Maximum in Is week of rash, till last scab falls2 days before rash to 5 days after4 days before rash to 5 days after7 days before rash to 7 days after4-6 days before symptoms to 7 days afterTransmissionDropletDropletDropletDropletDropletSAR 30-40%90%>90%85-90%86%ImmunityLifelongLifelongLife longLifelongLifelong*SAR= Secondary attack rateNote:This is asked many times as such that "SAR of Chickenpox is more than rubella and mutnpa but less than Measles"SAR of measles is given as 80% in many older texts but on CDC and WHO websites and many reliable standard textbooks it is given as 90% InfluenzaDiphtheriaWhooping cough (pert us is)Meningococcal meningitisAgentInfluenza virus type A,B,CC. diphtheriaeB. pertusisN. meningitidisIncubationperiod18-72 hours2-6 days7-14 days3-4 days, Range: 2-10 daysNon human ReservoirAnimals & birdsNilNilNilSourceClinical/sub clinical casesCarriers: Cases (95%:5%)CasesCarriers > CasesPeriod of Infectivity1-2 days before symptoms to 1-2 days after14-28 days from onset of disease, carriers are infective for a long periodFrom onset to 3 weeksVariable.As long as meningococci are present in nose and throat.Can be shortened by antibiotics to 24 hours of starting therapyTransmissionDropletDropletDroplet/ direct contactDropletSAR5-15%90%90%4 per 1000ImmunityShortlived, incomplete, subtype specificAcquired immunity by inapparent infectionBy recovery from disease or by vaccine (for 5-10 years)Acquired from subdinical infection (mostly), clinical disease and vaccination